All of the following cause hemolytic uremic syndrome except
1. Shigella
2. Campylobacter
3. EHEC
4. Vibrio cholera

Correct answer: 4. Vibrio cholera

Explanation: * Shigella dysentery type 1 causes toxemia due to the production of exotoxin. Complications include polyneuritis, arthritis, conjunctivitis, and parotitis. Haemolytic uraemic syndrome seen in severe cases * EHEC produces Verotoxin which causes a hemolytic-uraemic syndrome. Ref: Textbook of microbiology; Ananthanarayan and paniker's; 10th edition; Pg:293, 286